A cesarean section was done in the previous pregnancy. All of the following would be indications for elective cesarean section except
1. Breech
2. Macrosomia
3. Polyhydramnios
4. Post-term

Correct answer: 3. Polyhydramnios

Explanation: Polyhydramnios is not an indication of Cesarean delivery.Controlled artificial rupture of membranes and slow release of liquor is preferred, because of the dangers of cord prolapse and abruption if membranes rupture spontaneously.Special care should be given for the active management of the third stage of labor like prophylactic oxytocics, blood arrangement in view of PPHRefer page no 215 of Textbook of obstetrics, Sheila Balakrishnan.